Lacerated wound looks like incised wound over -
1. Scalp
2. Abdomen
3. Thigh
4. Forearm

Correct answer: 1. Scalp

Explanation: The synopsis of forensic medicine & toxicology ; Dr k.s.narayan reddy ;28th edition ; pg .no. 110 Scalp is the most appropriate answer as the skin is close to bone and subcutaneous tissues are scanty ,therefore produces a incised like wound .